A pregnant female presents with pain in abdomen on examination, tenderness is found in right lumbar region. TLC is 12000/cmm. and urine examination is normal. For diagnosis further test done is
1. Chest Xray with abdominal shield
2. Ultrasound abdomen
3. Non contrast CT abdomen
4. Laproscopy

Correct answer: 2. Ultrasound abdomen

Explanation: Ans is 'b' ultrasound abdomen Ultrasound is a useful diagnostic method in a pregnant female presenting with right iliac fossa pain to exclude tubal or ovarian disease. CT and X-ray should not be done for fear of radiation to the fetus.